Pleural tapping in the mid-axillary line, muscle not pierced is?
1. Internal intercostal
2. External intercostal
3. Inner most intercostal
4. Transversus thoracis

Correct answer: 4. Transversus thoracis

Explanation: The Transversus thoracis (Sternocostalis) is situated upon the inner surface of the front wall of the chest. Thus it is not pierced by needle for pleural tapping in mid axillary line. The usual location for pleural tapping is mid axillary line sixth, seventh or eighth intercostal space. The muscles pierced during pleural tapping in mid axillary line are: a.Serratus anterior b.External intercostal or Intercostales externi c.Internal intercoastal or Intercostales interni d.Innermost intercostal or Intercostales intimi According to few books Transversus thoracis includes all the three muscles of the inner layer i.e. Sternocostalis anteriorly, Subcostalis posteriorly and Intercostalis intimi in middle.